Recommended duration of surveillance after completion of treatment of multibacillary leprosy?
1. 6 months
2. 1 year
3. 2 years
4. 5 years

Correct answer: 4. 5 years

Explanation: Ans. is 'd' i.e., 5 years